The optimal orthodontic force per square centimeter of the root surface area is held to be:
1. 18-22 gms
2. 18-26 gms
3. 20-26 gms
4. 26-30 gms

Correct answer: 3. 20-26 gms